Distal Acoustic shadow is seen in?
1. Air
2. Calculi
3. Bone
4. All of the above

Correct answer: 4. All of the above

Explanation: All of the above REF: Ultrasound Teaching Manual by Matthias Hofer page - 15 In simple terms when sound waves strike an interface which reflects it back, it shows on USG as a hypoechoic or anechoic shadow beyond the structure. It is seen with gas and at interface like bone, calculi and stones.